True about actinomyces is -
1. Gram +ve
2. Most common site is brain
3. Tetracycline is drug of choice
4. Portal of entry is inhalation

Correct answer: 1. Gram +ve